Joule burns is seen in -
1. Electrocution
2. Thermal Injury
3. Radiation injury
4. Lightning

Correct answer: 1. Electrocution

Explanation: THE ELECTRIC MARK OR JOULE BURN: It is specific and diagnostic of contact with electricity and is found at the point of entry of the current. It is endogenous thermal burn due to the heat generated in the body from electricity. These marks are round or oval, shallow craters one to the and three cm. high around part or the whole of their circumference. The crater floor is lined by pale flattened skin. Ref: K.S.Narayan Reddy's Synopsis of Forensic Medicine and Toxicology, 29th edition, Chapter 11, page-167.